A patient presents with abdominal pain, anorexia, fever, night sweats, malaise, cough and weight loss along with this he complains of pain in the right upper abdomen and right shoulder tip, hiccups and a non-productive cough, past history of bloody diarrhea is present. On physical examination there upper abdominal rigidity, tender hepatomegaly, tender and bulging intercostal spaces are seen. CT of the patient is given, based on the CT what is most likely diagnosis?
1. Hydatid cyst
2. Amoebic liver abscess
3. Liver cyst
4. Hepatocellular carcinoma

Correct answer: 2. Amoebic liver abscess

Explanation: Ans. (b) Amoebic liver abscess.Diagnostic pointers for infection with Entamoeba histolytica* Bloody mucoid diarrhea in a patient from an endemic area or following a recent visit to such a country* Upper abdominal pain, fever, cough, malaise* In chronic cases, a mass in the right iliac fossa = ameboma* Sigmoidoscopy shows typical ulcers - biopsy and scraping may be diagnostic* Serological tests are highly sensitive and specific outside endemic areas* Ultrasound and CT scans are the imaging methods of choiceImage source- style="font-family: Times New Roman, Times, serif">